Elastomers are
1. Alginate
2. Agar
3. Polyethers
4. Impression compound

Correct answer: 3. Polyethers

Explanation: According to Chemistry 
Chemically, there are four kinds of elastomers:

Polysulfide
Condensation polymerizing silicones
Addition polymerizing silicones
Polyether